The gold standard test to diagnose PNH is:
1. Bone marrow study
2. Sucrose hemolysis test
3. Flow cytometry
4. Genetic study

Correct answer: 3. Flow cytometry

Explanation: The gold standard test to diagnose PNH today is flow cytometry. Reference: Harrisons Principles of Internal Medicine, 18th Edition, Page 884